CECT is least useful as a diagnostic tool for:
1. Juvenile angiofibroma
2. Carotid body tumor
3. Glomus jugulare
4. Subclavian steal syndrome

Correct answer: 4. Subclavian steal syndrome

Explanation: Ans. D. Subclavian steal syndromeThe better radiological tools for subclavian steal syndrome would be dynamic 3dtofmra and catheter angiography.CECT is not much of use in this case.